Virtual non-contrast CT is obtained in
1. Spiral CT
2. Multidetector CT
3. Dual source CT
4. HRCT

Correct answer: 3. Dual source CT

Explanation: Dual-energy (DE) CT implies acquiring of data sets simultaneously at two different photon spectra in a single CT acquisition. Using the DE data sets obtained with Iodinated contrast material, an un-enhanced CT image, or 'Virtual non-contrast' (VNC)-CT image of the abdomen can be generated using DE post-processing algorithms.